Muscle which helps in whistling?
1. Zygomaticus major
2. Buccinator
3. Procerus
4. Platysma

Correct answer: 2. Buccinator

Explanation: Facial expressionMuscleSmiling and laughingZygomaticus majorSadnessLevator labii superioris and levatoranguli orisGriefDepressor anguli orisAngerDilator naris and depressor septiFrowningCorrugator supercilii and procerusHorror, terror, and frightPlatysmaSurpriseFrontalisDoubtMentalisGrinningRisoriusContemptZygomaticus minorClosing the mouth Orbicualris orisWhistlingBuccinator and Orbicularis orisRef: Chaurasia; Volume 3; 6th edition; Page no: 57